Marker for granulosa cell tumor :
1. CA 19-9
2. Ca 50
3. Inhibin
4. Teratoma

Correct answer: 3. Inhibin

Explanation: Ans. is c i.e. lnhibin Granulosa cell Tm 70% of ovarian sex cord cord stromal tumors are granulosa cell tumour. There are 2 clinically and histologically distinct types of Granulosa cell tumor : - The adult form - comprises 95% of cases - The juvenile form - comprises 5% of cases. 50% are diagnosed before puberty Average age being 13 years The clinical features of granulosa cell tumour are due to raised estrogen levels. Adult types : M/C presentation is menometorrhagia and post menopausal bleeding. It is a/w endometrial hyperplasia, breast tenderness, 2'i amenorrhea and adenocarcinoma Juvenile type : M/C presentation is irregular bleeding and amenorrhea. Prepubertal girls show isosexual peripheral precocious puberty. 3 Tumour marker : Inhibin A and Inhibin B - They are elevated months before clinical detection of disease and are considered more reliable for postoperative surveillance. Estradiol : It has limited valve in surveillance. Prognosis : Both juvenile and adult type are a low grade malignancy. 95% are unilateral and 80-90% are stage I at the time of diagnosis. 5 year survival rate is 85-95% Remember : In comparison to adult type, the juvenile type is more aggresive and the time to relapse and death is much shorter.